In a 6 months old baby, floppy infant syndrome is seen commonly due to infection with –
1. Clostridium welchii
2. Clostridium tetani
3. Clostridium Botulinum
4. Clostridium septicum

Correct answer: 3. Clostridium Botulinum

Explanation: Botulism causes acute flaccid paralysis → floppy infant.